Trapezius is supplied by-
1. Spinal Accessory nerve
2. Greater occipital nerve
3. Thoracodorsal nerve
4. Dorsal Scapular nerve

Correct answer: 1. Spinal Accessory nerve

Explanation: Ans. is 'a' i.e., Spinal Accessory nerve * Spinal accessory (spinal part) nerve supplies motor branches to# Trapezius# Sternocleidomastoid